The drug of choice in paroxysmal supraventrictalar tachycardia is -
1. Digoxin
2. Adenosine
3. Nifedipine
4. Esmolol

Correct answer: 2. Adenosine